Denver shunt is used in
1. Ascites
2. Dialysis
3. Raised ICT
4. Raised IOP

Correct answer: 1. Ascites

Explanation: Denver shunt It is used for the relief of ascites due to chronic liver disease To prevent high occlusion rates as seen in Le-Veen shunt, a further development was the insertion of a chamber placed over the costak margin to allow digital pressure and evacuation of any debris within the peritoneovenous shunt Ref: Textbook of hepatology by Erwin kuntz Pgno :317